Features of moderately retracted tympanic membrane are all except:
1. Handle of malleus appearance foreshortened
2. Cone of light is absent or interrupted
3. Lateral process of malleus becomes more prominent
4. Shiny pearly grey tympanic membrane

Correct answer: 4. Shiny pearly grey tympanic membrane

Explanation: (d) Shiny pearly grey tympanic membrane(Ref. Dhingra, 6th ed., 55)Retracted tympanic membrane appears dull and lustreless due to absent or interrupted cone of light.